Which of the following statements about Tigecycline is false:
1. Binds to 50S subunit and inhibits protein synthesis
2. Bacteriostatic Glycylcycline
3. Dose titration is not required in Renal impairment
4. Used for the management of MRSA

Correct answer: 1. Binds to 50S subunit and inhibits protein synthesis

Explanation: Tigecycline inhibit bacterial protein synthesis by binding to the 30S bacterial ribosome. Tigecycline is a broad-spectrum Glycylcycline antimicrobial (a novel drug of the tetracycline family), with potent activity against MRSA, MRSE and Enterococci including VRE (Vancomycin resistant Enterococci). Tigecycline is a bacteriostatic inhibitor of protein synthesis. It inhibits bacterial protein synthesis by binding to the 30S bacterial ribosome and preventing access of aminoacylt-RNA to the acceptor (A) site on the mRNA-ribosome complex. Tigecycline is available only for paterenteral administratio. It is eliminated mainly in the bile so dose adjustment is needed in hepatic disease not in renal insufficiency. The majority of antibiotics that block bacterial protein synthesis interfere with the processes at the 30S subunit or 50S subunit of the 70S bacterial ribosome. Antibiotics that inhibit Protein synthesis at the 30S ribosome subunit: Tetracycline Tigecycline (Glycylcycline) Aminoglycosides Antibiotics that inhibit protein synthesis at the 50S ribosome subunit: Macrolides- Erythromycin Lincosamide-Clindamycin Streptogramins (Quinupristin/dalfopristin) Oxazoladinone-Linezolid Chloramphenicol Ref: Goodman of Gilman 13th edition PGno: 1049